Mantle cell lymphomas are positive for all of the following, except:
1. CD 23
2. CD 20
3. CD 5
4. CD 43

Correct answer: 1. CD 23

Explanation: Mantle cells lymphomas are usually CD23 negative. They are positive for CD5, CD20 and CD43.